A drug given for metoclopramide induced dystonic reaction is :
1. Pheniramine
2. Promethazine
3. Chlorpromazine
4. Prochlorperazine

Correct answer: 2. Promethazine

Explanation: "Acute muscle dystonia caused by antiemetic-antipsychotic drugs is promptly relieved by parenteral promethazine or hydroxyzine." This is based on the central anticholinergic action of the drugs.
Promethazine is a first-generation anti-histaminic which has a maximum penetration of blood-brain barrier and maximum anticholinergic activity.